Prostate gland is derived from
1. Urogenital sinus
2. Urogenital folds
3. Labioscrotal swelling
4. Gubernaculum

Correct answer: 1. Urogenital sinus

Explanation: In the hindgut at the region of cloaca develops a urogenital sinus which forms urinary bladder, urethra and lower part of vagina in females. It also forms inner glandular portion of prostate gland. It is endodermal in origin.